Which test is used to compare kapian-meier survival curve-
1. T-test
2. Chi-square test
3. Log rank test
4. Whitneys test

Correct answer: 3. Log rank test

Explanation: Ans. is 'C' i.e., Log rank test o The Kaplan-Meier estimator is an estimater for estimating the survival function from life time data. o A plot of the Kaplan-Meier estimate of the survival function is a series of horizontal steps of declining magnitude which, wrhen a large enough sample is taken, approaches the true survial function of that population. The value of the survival function between successive distinct sampled observations is assumed to be constant, o Different Kaplan-Meier curves can be compared by - The log rank test The cox proportional hazards test